A patient is on low calcium diet for 8 weeks. Following increases to maintain serum calcium levels
1. PTH
2. Calcitonin
3. Active 24,25 dihydroxy cholecaliferol
4. Serum phosphate level

Correct answer: 1. PTH

Explanation: Parathyroid hormone (PTH), also called parathormone or parathyrin, is a hormone secreted by the parathyroid glands that is important in bone remodeling, which is an ongoing process in which bone tissue is alternately resorbed and rebuilt over time.Ref: Ganong's review of medical physiology: 24th edition; page no: 377